Which viral infection is associated with neutropenia-
1. Hepatitis A
2. Influenza A
3. HIV
4. All of the above

Correct answer: 4. All of the above